Autoimmune haemolytic anemia is a feature of?
1. ALL
2. CML
3. Burkett's Lymphoma
4. Lymphoma

Correct answer: 4. Lymphoma

Explanation: Causes of Autoimmune Hemolytic Anemias
Idiopathic (50%)
Drugs - Methyl dopa;
CLL, Lymphomas
M. Pneumoniae infection.
IMN, SLE and other connective tissue disorders.